"Darting motility" is shown by -
1. Proteus
2. Serratia
3. Vibrio
4. E. coli

Correct answer: 3. Vibrio

Explanation: Ans. is 'c' i.e., Vibrio * Among the given options, Campylobacter and vibrio cholerae show darting motility.* V. Cholerae causes watery diarrhea, whereas Campylobacter usually causes dysentery.Types of MotilityMotilityOrganismsDarting* V. cholerae* Campylobacter* Gardnerella vaginalisStatelyClostridiaTumblingListeriaLashingBorreliaCorkscrew motilityT. pallidumGlidingMycoplasmaSwarmingProteus mirabilis & vulgaris, B. cereus, Cl tetani